Which of the following anticancer drugs act on M phase
1. Paclitaxel
2. Etoposide
3. Irinotecan
4. Bleomycin

Correct answer: 1. Paclitaxel

Explanation: Paclitaxel belongs to taxane group of compounds which act by stabilizing mitotic spindle and thus acts on M-phase.